Guanylin is secreted by :
1. C-cells.
2. Paneth cells.
3. Neurohypophysis.
4. All of the above.

Correct answer: 2. Paneth cells.

Explanation: Paneth cells are endocrine cells located in crypts of lieberkuhn.